A term G2P1L1 presents with active labor. Her cervix is 8 cm dilated; fetal head station +2, MSL+, Type 2 deceleration seen in NST. What is the next step in management?
1. Vacuum
2. Forceps
3. LSCS
4. Wait for spontaneous

Correct answer: 3. LSCS

Explanation: Ans. is c, i.e. LSCSNow in this patient who is in labor, Type 2 deceleration seen i.e. late Deceleration which indicates fetal distress. Now the cervix is 8 cm dilated and not fully dilated so forceps cannot be applied.Vacium although can be used in 8 cm dilated cervix but in fetal distress vacium cannot be used. Hence the only option is cesarean section.